GH level increases during
1. REM sleep
2. Hypoglycaemia
3. Increased cortisol
4. Hyperglycemia

Correct answer: 2. Hypoglycaemia

Explanation: (B) Hypoglycaemia # Stimulators of Growth Hormone (GH) secretion include:> Peptide hormones: GHRH (somatocrinin) through binding to the growth hormone-releasing hormone receptor (GHRHR) Ghrelin through binding to growth hormone secretagogue receptors (GHSR)> Sex hormones: Increased androgen secretion during puberty (in males from testis and in females from adrenal cortex)> Estrogen: Clonidine and L-DOPA by stimulating GHRH release a4b2 nicotinic agonists, including nicotine, which also act synergistically with clonidine. Hypoglycemia, arginine and propranolol by inhibiting somatostatin release Deep sleep Niacin as nicotinic acid (Vitamin B3) Fasting Vigorous exercise> Inhibitors of GH secretion include: GHIH (somatostatin) from the periventricular nucleus Circulating concentrations of GH and IGF-1 (negative feedback on the pituitary and hypothalamus) Hyperglycemia Glucocorticoids Dihydrotestosterone> In addition to control by endogenous and stimulus processes, a number of foreign compounds (xenobiotics such as drugs and endocrine disruptors) are known to influence GH secretion and function.